Most common site for Amebic liver abscess
1. Posterior inferior surface of Right lobe of  liver
2. Posterior inferior surface of left lobe of liver
3. Posterior superior surface of right lobe of liver
4. Posterior superior surface of left lobe of liver

Correct answer: 3. Posterior superior surface of right lobe of liver

Explanation: It involves posterior superior surface of right lobe of liver.